Loss of foot processes of podocytes is characteristically seen in?
1. Good pasture syndrome
2. Lipoid nephrosis
3. PSGN
4. Lupus nephritis

Correct answer: 2. Lipoid nephrosis

Explanation: Ans. is 'b' i.e., Lipoid nephrosis * Effacement (loss) of foot process of perietal epithelial cells (podocytes) is most commonly noted in minimal change disease (lipoid nephrosis).* However, it may be seen other causes of nephrotic syndrome like membronous GN, FSGS, IgA nephropathy (a type of mesangioproliferative GN), and MPGN.Pathological findings of lipoid nephrosis1) Light microscopy - No abnormality2) Electron microscopy - Obliteration (loss) and fusion of foot processes of epithelial cells.3) Immunofluorescence - No deposits of immune reactants4) Serum complements - Normal levels* The basic pathogenesis of minimal change glomerulonephritis is loss of the basement membrane polyanion (Heparan sulfate proteoglycan).* Loss of the polyanion reduces the negative charge in membrane which allows anionic molecules of the plasma (Albumin) to pass through.